Least common type of pelvis is :
1. Gynaecoid
2. Android
3. Mixed
4. Platypelloid

Correct answer: 4. Platypelloid

Explanation: Platypelloid